Which of the following is a gold standard investigation for diagnosis of renal stone?
1. USG
2. Helical CT with Non - contrast
3. Helical CT with contrast
4. MRI

Correct answer: 2. Helical CT with Non - contrast

Explanation: USG is the IOC for gall stones and not renal stones. Helical CT without contrast is the IOC for all type of renal stones Helical CT with contrast is not preferred for looking calcifications like renal stones MRI is not preferred for renal stones